True about inhaled nitric oxide
1. Causes generalized (systemic) vasodilation
2. Dilates pulmonary arteries
3. Causes hypotension, increase pulmonary artery pressure
4. All

Correct answer: 2. Dilates pulmonary arteries

Explanation: B i.e, Dilates pulmonary arteries